The primary active step for sodium reabsorption in the proximal tubule involves:
1. Sodium-glucose cotransport across the luminal membrane
2. Sodium/hydrogen ion countertransport across the luminal membrane
3. Sodium transport the Na+-K+-ATPase at the basolateral membrane
4. Sodium-amino acid cotransport across the luminal membrane

Correct answer: 3. Sodium transport the Na+-K+-ATPase at the basolateral membrane

Explanation: Sodium transport the Na-K-ATPase at the basolateral membrane. This is the only transport step for sodium in the proximal tubule that involves the direct input of energy to move sodium against its electrochemical gradient (in this case from the inside of the cell to the outside).